All are long acting reversible contraceptives except :
1. Implanon
2. IUCD
3. jadelle
4. OCP

Correct answer: 4. OCP

Explanation: IUCD is an effective, reversible and long term method of contraception Implanon and Jadella are subdermal implants which are effective for about 1-5 years Ref: Shaw Gynecology 17 e pg 267.